The efficacy of the moist heat sterilization technique commonly used to sterilize laboratory ware and culture media is tested by using (OR) Sterilisation control for moist heat is
1. using Bacillus stearothermophilus
2. using non-pathogenic strain of clostridium tetani
3. using chemical indicator
4. using methylene blue

Correct answer: 1. using Bacillus stearothermophilus